Transfer of an amino group from an amino acid to an alpha-keto acid is done by?
1. Transaminases
2. Aminases
3. Transketolase
4. Decarboxylase

Correct answer: 1. Transaminases

Explanation: Transamination involves the reversible transfer of a-amino group of a-amino acid to an a-keto acid to form new amino acid and a new keto acid.